. Pondreal index of baby with weight of 2000gm and height of 50 cm. aEUR'
1. 1.6
2. 2.2
3. 2.6
4. 3.6

Correct answer: 1. 1.6

Explanation: 1.6 [Re.f: O.P. Ghai 7/e p. t091 Ponderal index = X 100 = X 100 = 100X2/125 = 1.6 Ponderal index less than normal indicates that growth rates of adipose tissue and skeletal muscle the principle determinants of weight are less than normal. Ponderal index < 2 ----> Asymmetrical UGR Ponderal index > 2 Symmetrical UGR